Non contraceptive use of OCPs are all except :
1. Ca endometrium
2. Ca breast
3. Rheumatoid arthritis
4. Endometriosis

Correct answer: 2. Ca breast

Explanation: Ans. is b i.e. Ca breast OCP's are protective against Benign Breast diseases, but as far as Carcinoma breast is concerned their role is controversial. OCP's are considered in the etiology of Ca breast. "The most credible metanalysis of oral contraceptive use suggest that these agents cause little if any increased risk of breast cancer. By contrast, oral contraceptives offer a substantial protective effect against ovarian epithelial tumors and endometrial cancer."